Which of the following structure is not present in the transpyloric plane?
1. First lumbar vertebra
2. Fundus of gall bladder
3. Hilum of right kidney
4. Inferior mesenteric vein

Correct answer: 4. Inferior mesenteric vein

Explanation: Transpyloric plane- An imaginary plane that passes at the lower border of L1 vertebra posteriorly and the tip of 9th costal cartilage anteriorly.
Structures at the Transpyloric plane
-        Pylorus of stomach
-        Hilum of kidney
-        Beginning of duodenum
-        Neck of pancreas
-        Fundus of gallbladder
-        Origin of the superior mesenteric vessel.